Ischaemia is characterized by all except
1. Brittle nails
2. Thickening of skin
3. Muscle wasting
4. Loss of subcutaneous fat

Correct answer: 2. Thickening of skin

Explanation: Ischaemia results in thinning of skin.